Surya kant is prescribed with first generation antihistaminic. He should be advised to avoid:
1. Driving motor cycle
2. Consuming cheese
3. Physical exercise
4. All of the above

Correct answer: 1. Driving motor cycle

Explanation: Ans. A. Driving motor cycleFirst generation antihistaminic like promethazine, diphenhydramine crosses the blood brain barrier and have higher incidence of sedation. Another property of these drugs is that they show anticholinergic side effects. Due to this patient is asked not to drive any vehicle.